The nerve roots blocked in pudendal nerve block is:
1. L1,2,3
2. L2,3
3. S2,3,4
4. S4

Correct answer: 3. S2,3,4

Explanation: Pudendal nerve block:

Pudendal nerve arises from: S2, S3, S4 and therefore pudendal nerve block - will block S2, S3, S4, nerve roots.
It is used for perineal analgesia and relaxation.
Anaesthesia used is 20 ml of 1% lignocaine.
Route: Transvaginal and perineal route.
Site: Pudendal nerve is blocked just above the tip of ischial spine.

Indications:

Prior to application of forceps or vacuum
To suture vaginal lacerations
In Assisted breech delivery.